A thirty-year old man presented with nausea, fever and jaundice of 5 days duration. The biochemical tests revealed a bilirubin of 6.7 mg/dl (conjugated 5.0 mg/ dl) with SGOT/SGPT(AST/ALT) of 1230/900 IU/ ml. The serological tests showed presence of HBs Ag. , IgM anti-HBc and HbeAg. The most likely diagnosis is
1. Chronic hepatits B infection with high infectivity
2. Acute hepatitis B infection with high infectivity
3. Chronic hepatitis B infection with low infectivity
4. Acute hepatitis B infection with low infectivity

Correct answer: 2. Acute hepatitis B infection with high infectivity